Which of the following is NOT a tricyclic, tetracyclic, or MAO antidepressant?
1. Trazodone
2. Clomipramine
3. Doxepin
4. Isocarboxazid

Correct answer: 1. Trazodone

Explanation: Trazodone (Desyrel), a triazolopyridine derivative, and nefazodone are antidepressants that are structurally different from the tricyclics, tetracyclics, and monoamine oxidase inhibitors. Trazodone is reported to differ in that it produces no anticholinergic adverse side effects. Trazodone is also known to have a more acute sedating effect than many other antidepressants, although the same is not true of nefazodone, which is known for a lack of sedating effects. Ref: DeBattista C. (2012). Chapter 30. Antidepressant Agents. In B.G. Katzung, S.B. Masters, A.J. Trevor (Eds), Basic & Clinical Pharmacology, 12e.